Branches of internal thoracic artery are all except
1. Superior epigastric
2. Musculophrenic
3. Anterior intercostal
4. Posterior intercostal

Correct answer: 4. Posterior intercostal

Explanation: Internal thoracic arteryIt arises from 1st part of subclavian artery and descends through anterior ends of upper six intercostal spaces lying 1.25 cm lateral to sternal margin.It divides into two terminal branches, musculophrenic and superior epigastric in 6th intercostal space.Branches of internal thoracic artery are (i) mediastinal branches, (ii) pericardial branches, (iii) sternal branches, (iv) pericardiophrenic branches, (v) anterior intercostal arteries (in upper six spaces), (vi) perforating branches, and (vii) two terminal branches, musculophrenic and superior epigastric.